Meningococci and Gonococci are differentiated by
1. Glucose fermentation
2. Maltose fermentation
3. Gram staining
4. Indole test

Correct answer: 2. Maltose fermentation

Explanation: Meningococci ferments Maltose whereas Gonococci not. But, Both ferments Glucose.